Individuals with alcoholic cirrhosis of the liver may develop severe hepatotoxicity after doses of acetaminophen that are not toxic to individuals with normal liver function. This increased sensitivity to acetaminophen's toxicity is due to :
1. Decrease availability of acetaldehyde dehydrogenase
2. Decreased hepatocellular stores of glutathione
3. Decreased activity of Cytochrome P450 enzymes
4. Increased liver blood flow

Correct answer: 2. Decreased hepatocellular stores of glutathione